patient came with a small solitary nodule in right lobe of thyroid FNAC Shows follicular adenoma .The best surgery is
1. Enucleation
2. Sub-total thyroidectomy
3. Righ hemithyroidectomy
4. Near total thyroidectomy

Correct answer: 3. Righ hemithyroidectomy